Thiopental sodium is administered intravenously as :
1. 25% solution
2. 2.5% solution
3. 0.25% solution
4. 0.025% solution

Correct answer: 2. 2.5% solution